Attachement of Vitreous is Srongest at
1. Foveal region
2. Back of lens
3. Across ora serrata
4. Margin of optic disc

Correct answer: 3. Across ora serrata

Explanation: Ans. is 'c' i.e., Across ora serrata Attachement of vitreous Vitreous is attached anteriorly to the lens (Hyloid capsular ligament of Wieger) and ciliary epithelium in front of the ora serrata. The part of vitreous about 4 mm across the ora serrata is known as the "base of vitreous" where the attachement is strongest Posteriorly vitreous is attached to the edge of the optic disc and macula lutea (foveal region) forming ring-shaped structure around them